Hutchinson's rule is related to -
1. Herpes simplex keratitis
2. Mycotic keratitis
3. Herpes zoster ophthalmicus
4. None

Correct answer: 3. Herpes zoster ophthalmicus

Explanation: Hutchinson's rule is related to herpes zoster ophthalmicus which is an acute infection of Gasserian ganglion of the fifth cranial nerve by the varicella zoster virus.Occurs commonly in immunocompromised individuals.Hutchinson's rule implies that ocular involvment is frequent if the side or tip of the nose presents vesicles is useful but not infallibleReference:Comprehensive ophthalmology,AK Khurana,6th edition,page no.110